Chronic kidney disease is defined as the presence of a diminished GFR for at least
1. 1month
2. 3months
3. 6months
4. 12months

Correct answer: 2. 3months

Explanation: Chronic kidney disease (previously called chronic renal failure) is defined as the presence of a diminished GFR that is persistently less than 60 mL/minute/1.73 m2 for at least 3 months, from any cause, and/or persistent albuminuria.It may present with clinically silent decline in renal excretory function in milder forms, and in more severe cases, by prolonged symptoms and signs ofuremia. It is the end result of all chronic renal parenchymal diseases.Ref: Robbins and Cotran Pathologic Basis of Disease; 9th edition; Chapter 20; The Kidney; Page no: 898